Which of the following decreases thyroid hormone on a long term basis ?
1. T4
2. I131
3. Calcitriol
4. Fluorouracil

Correct answer: 2. I131

Explanation: Ans. is 'b' i.e., I131 Radioactive iodineo Radioactive iodine is used in the treatment of hyperthyroidism.o Radioactive isotopes of medical importance are -I131 (half life - 8 days) - most commonly used.I123 (half life -13 hours).I125 (half life - 60 days),o I131 emits X-rays & b-rays.o b-rays are utilized for destruction effect on thyroid cells, while X-rays (g-rays) are useful in tracer studies,o The b-particle penetrate only .5-2 mm of tissue and thus allows therapeutic effects on the thyroid without damaging to the surrounding structure, particularly the parathyroid,o Response is slow - starts after 2 weeks and reaching peak at 3 months,o Uses of radioactive iodineHyperthyroidism due to Graves disease - most common indication.Metastatic carcinoma of thyroid (especially papillary or those cases of follicular which concentrate iodine).DosesDiagnostic- 25- 100 curieTherapeutic - 3-6 m curieContraindications1. Pregnant & lactating women 2. Young patients.